2 zeta and 2 gamma chains are present in which hemoglobin
1. Hb Portland
2. Hb gower I
3. Hb gower II
4. HbA2

Correct answer: 1. Hb Portland

Explanation: Hb portland - 2 zeta & 2 gamma.
Hb Gower I - 2 zeta & 2 epsilon.
Hb gower II - 2 alpha & 2 epsilon.